Temperature regulation is chiefly under the control of:
1. Midbrain
2. Pons
3. Medulla
4. Hypothalamus

Correct answer: 4. Hypothalamus

Explanation: Ans. D: HypothalamusThermoregulation in both ectotherms and endotherms is controlled mainly by the preoptic area of the anterior hypothalamus.Such homeostatic control is separate from the sensation of temperature